Fractional excretion of sodium < 1 is seen in
1. Pre renal azotemia
2. Acute tubular necrosis
3. Acute ureteral obstruction
4. Interstitial nephritis

Correct answer: 1. Pre renal azotemia

Explanation: Ans. is 'a' i.e., Pre renal azotemia * Urine Diagnostic Indices in differentiation of prerenal Vs Intrinsic Renal FailureDiagnostic IndexPrerenalARFIntrinsic Renal ARF* Fractional Excretion of Na<1> 1* Urine Sodium Concentration (mmol/L)<10>20* Urine Creatinine to Plasma Creatinine ratio>40<20* Urine osmolality (mosmol/kgH20)>500~ 300* Renal failure Index<1>1* Urine urea Nitrogen to plasma urea Nitrogen>8<3* Plasma BUN/Creatinine Ratio>20< 10-15* Urinary SedimentHyalineCastsMuddy Brown Granular Cast* Urine Specific gravity> 1.020-1.010o Acute tubular necrosis is a cause of intrinsic ARF.